Spalding's sign occurs after -
1. Birth of live fetus
2. Death of fetus in uterus
3. Rigor mortis of infant
4. Cadaaveric spasm

Correct answer: 2. Death of fetus in uterus

Explanation: Ref:Textbook of forensic medicine and toxicology (V.V.Pillay) 17th edition, page no.378 A dead born child is one which has died in utero, and shows any one of the sign like,maceration, putrefication,mummification or rigor mous after it is completely born. Maceration- This is process of aseptic autolysis. The cell break down due to enzymatic activity, and the body becomes soft and flaccid. The cerebral hemispheres shrink in size. As a result, bones of cranial vault loosen and begin to override each other. This overriding of the cranial bones seen on X-ray is called Spalding's sign.